Drugs used in the treatment of pruritus in PBC?
1. Rifampicin
2. Naltrexone
3. Cholestyramine
4. All of the above

Correct answer: 4. All of the above

Explanation: The main symptoms of PBC are fatigue and pruritus, and symptom management is important.Several therapies have been tried for treatment of fatigue, but none of them have been successful; frequent naps should be encouraged. Pruritus is treated with antihistamines, narcotic receptor antagonists (naltrexone), and rifampin. Cholestyramine, a bile salt-sequestering agent, has been helpful. Plasmapheresis has been used rarely in patients with severe intractable pruritus.Ref: Harrison's Principles of Internal Medicine; 19th edition; Chapter 365; Cirrhosis and Its Complications Page no: 2061